In Teletherapy setup all are used except
1. Irridium-191
2. Co - 60
3. Simulator
4. Computer

Correct answer: 1. Irridium-191

Explanation: A i.e. Irridium 191